False about complement is
1. Group of proteins normally found is serum
2. Constitute about 20% of normal serum proteins
3. Heat labile
4. Species non-specific

Correct answer: 2. Constitute about 20% of normal serum proteins

Explanation: Constitute about 5% of normal serum proteins.